What causes pseudoproptosis-
1. Hyperthyroidism
2. Optic nerve glioma
3. High myopia
4. Orbital pseudotomour

Correct answer: 3. High myopia

Explanation: Ans. is 'c' i.e., High myopia * Pseudoproptosis (the false impression of proptosis) may be due to facial asymmetry, enlargement of the globe (e.g. high myopia or buphthalmos), lid retraction or contralateral enophthalmos.